Endolymphatic decompression is seen in
1. Tinnitus
2. Acoustic neuroma
3. Meniere disease
4. Endolymphatic fistula

Correct answer: 3. Meniere disease

Explanation: Surgical management of Meniere's disease-Conservative Surgeries-1.Endolymphatic sac decompression2.Cochleostomy3.Sacculotomy4.Cervical sympathectomyDestructive surgeries-1.Vestibular nerve section2.Labyrinthectomy3.Laser destruction of inner earRef: Hazarika; 3rd ed; Pg 196